The screening for HCC in chronic liver disease
1. Serial USG + AFP
2. Serial LFT+AFP
3. Serial LFT+CT scan
4. Serial USG + serial LFT

Correct answer: 1. Serial USG + AFP

Explanation: Screening is based on regular ultra sound scanning in high risk population and measurement of AFP levels Ref:Sabiston 20th edition Pgno : 1458-1463